Atherosclerosis is seen with which bacteria
1. Staph aureus
2. Streptococcus pneumonia
3. Chlamydia pneumoniae
4. Chlamydia trachomatis

Correct answer: 3. Chlamydia pneumoniae

Explanation: Robbins.. “Herpes virus, cytomegalovirus and Chlamydia pneumoniae have all been detected in atherosclerotic plaques but not in normal arteries, and seroepidemiologic studies find increased antibody titers to C. pneumoniae in patients with more severe atherosclerosis”.